All of the following are TRUE of Ramsay-Hunt syndrome EXCEPT
1. Viral etiology
2. VII nerve involved
3. May involve VIII nerve
4. Results of spontaneous recovery are excellent

Correct answer: 4. Results of spontaneous recovery are excellent

Explanation: Ramsay-Hunt-syndrome / Herpes-Zoster otidus * Herpetic vesicles on the external ear and the inside of the cheek, with a LMN facial palsy, can be associated with severe sensineural deafness and vertigo * They may also be anaesthesia of face, giddiness, and hearing impairment due to involvement of Vth and VIlIth nerve. Treatment is same as Bell's palsy . The prognosis is generally poorer than for a bell's palsy